Mulberry mucosa is seen in -
1. Irritative rhinitis
2. Chronic atrophic rhinitis
3. Hypertrophic rhinitis
4. All of the above

Correct answer: 3. Hypertrophic rhinitis